Safety pin index for oxygen cylinder is
1. 3,5
2. 1,5
3. 2,5
4. 1,4

Correct answer: 3. 2,5